Which of the following is not an Oxidative type of drug metabolism?
1. Deamination
2. N-oxidation
3. N-dealkylation
4. Glucuronidation

Correct answer: 4. Glucuronidation

Explanation: Oxidation; This reaction involves the addition of oxygen/negatively charged radical or removal of hydrogen/positively charged radical. oxidations-phase 1 metabolizing reactions Various oxidation reactions are hydroxylation; oxidation at C, N or S atoms; N or O-dealkylation, oxidative deamination, etc. Glucuronide conjugation is a synthetic reaction (phase 2 metabolic reactions) Ref: KD Tripathi pharmacology 7th edition (page.no: 24)